Elements of standard precaution in infection control
practice include all of the following EXCEPT
1. Personal protective equipment
2. Aseptic management of patient care equipment
3. Immunisation program
4. Hand hygiene

Correct answer: 3. Immunisation program